Osteoblastic secondaries in spine seen with
1. Carcinoma prostate
2. Carcinoma thyroid
3. Endometrial carcinoma
4. Carcinoma rectum

Correct answer: 1. Carcinoma prostate

Explanation: i.e. (Carcinoma prostate): (613-H17th) (CSDT 13th) Most common cause of osteoblastic secondariesIn males - Prostate cancersIn females - Breast cancer Most common cause of osteolytic metastasisIn males - Lung cancersIn females - Breast cancers Lytic expansile metastasis - Thyroid, Renal Carcinoma(i) Peripheral zone is site for Adenocarcinoma (PAC)(ii) Transition (periurethral) is site for BPHAlthough some tumours may produce mainly osteolytic lesions (eg Kidney cancers) and other mainly osteoblastic lesions (eg prostate cancers) most lesions produces both types of lesion and may go through stages where one or the other predominates (613-H17th)